Which of the following process is involved in conversion of DNA to RNA:
1. Conjugation
2. Transduction
3. Translocation
4. Transcription

Correct answer: 4. Transcription

Explanation: Ans. D. TranscriptionTransformationTransfer of genetic information through agency of free DNA.E.g: Pneumococci, BacillusTransductionTransfer of a portion of a DNA from one bacterium to another by a bacteriophage.TransversionSubstitution of a purine for a pyramidine and vice versa in base pairing.TranslationTransfer of an information from mRNA to proteins resulting in polypeptide formationTranscriptionReplication of messenger RNA from the DNA. Mediated by "RNA polymerase2"Reverse Transcriptiona) Formation of DNA from RNA and is mediated by "Reverse Transcriptase".b) seen in oncogenic virus.